Which of the following malignancy is not associated with elevated AFP?
1. Hepatoblastoma
2. Carcinoma colon
3. Embryonal cell Ca
4. Seminoma

Correct answer: 4. Seminoma

Explanation: Seminomas are associated with elevated beta hCG and placental alkaline phosphatase levels. Alfa fetoprotein levels are elevated in malignancies such as hepatoblastoma, hepatocellular carcinoma, germ cell tumor of ovary or testicle or colon cancer. Benign conditions causing elevated AFP levels are cirrhosis, hepatic necrosis, acute hepatitis, chronic active hepatitis, ataxia telangiectasia, Wiskott Aldrich syndrome and pregnancy. Reference: Schwartz's Principles of Surgery, 9e chapter 10.